Which of the following radioisotopes is commonly used as a source for external beam radiotherapy in the treatment of cancer patients –
1. Strontium–89
2. Radium–226
3. Cobalt–59
4. Cobalt–60

Correct answer: 4. Cobalt–60

Explanation: Cobalt - 60 and Cesium - 137 are most commonly used radioisotopes for teletherapy (External beam radiation).